Macrosomia is seen in all except
1. Diabetes mellitus
2. Obesity
3. Hydrocephalus
4. Post maturity

Correct answer: 3. Hydrocephalus

Explanation: Risk factors associated with macrosomia : Maternal diabetes Multiparity Increased maternal age Maternal obesity Prolonged gestation Male fetus Ref: Dutta Obs 9e pg 263.